The incisor over-jet is increased for a class II case that is undergoing treatment. The reason is
1. Loss of anchorage
2. Arch collapse
3. Crowding in the lower arch
4. None of the above

Correct answer: 1. Loss of anchorage